What stimulates the gonads in male at 8 week to secret testosterone -
1. Inhibin from corpus luteum
2. GnRH from hypothalamus of baby
3. Placental HCG
4. All of above

Correct answer: 3. Placental HCG

Explanation: Ans. is 'c' i.e., Placental HCG During embryogenesis, In male embryo, at 6-7 week of gestatin, secretion of first anti-mullerian hormone (also k/o mullerian inhibiting substance) causes regression of mullerian duct. Then at 8-12 week, under influence of Placental HCG, testes started producing testosterone.